A patient with short stature, sexual infantilism and congenital anomalies with chromosomal abnormalities `XO'. Diagnosis is –
1. Turner's syndrome
2. Klinefelter syndrome
3. Testicular feminization syndrome
4. Gonadal agenesis

Correct answer: 1. Turner's syndrome